The most abundant protein present in body is:
1. Globulin
2. Albumin
3. Collagen
4. Hemoglobin

Correct answer: 3. Collagen